Selective media for vibrio:
1. TCBS
2. Stuart
3. Skirrows
4. MYPA

Correct answer: 1. TCBS

Explanation: Ans. is 'a' i.e. TCBS TCBS is a selective media used for vibrio cholera Medias used in vibrio cholera holding mediaVenkatraman Ramakrishnan mediumCary Blair mediumAutoclaved sea waterEnrichment mediaAlkaline peptone water at pH 8.2Mansour's taurocholate tellurite peptone water at pH 9.2Plating mediaAlkaline bile salt agarMansur's gelatin taurocholate trypticase tellurite agar (GTTA) mediumTCBS medium